Fracture of mandible all are true except
1. Fractures of the mandible are common at the angle of the mandible
2. Fractures of the mandible are effected by the muscle pull
3. Fractures of the mandible are usually characterized by sublingual hematoma
4. C.S.F. rhinorrhea is a common finding

Correct answer: 4. C.S.F. rhinorrhea is a common finding